A 3-year-old male child presents with multiple laryngeal papillomas with hoarse voice and slight airway distress. Papillomas are involving the glottis. The best treatment is:
1. Tracheostomy and observation
2. Steroids
3. Interferon therapy
4. Microlaryngoscopy and excision

Correct answer: 4. Microlaryngoscopy and excision

Explanation: Preferred treatment is microlaryngoscopy and excision. As the recurrence is common, repeated excisions may be required. Tracheostomy is avoided to prevent distal spread. Interferon therapy has not shown sustained benefit.